Early complications of tracheostomy are -a) Haemorrhageb) Displacement of tube or obstructionc) Surgical emphysemad) Tracheal stenosis
1. ab
2. bc
3. abc
4. bcd

Correct answer: 3. abc